Which of the following is not a glycoprotein hormone:
1. TSH
2. FSH
3. LH
4. ACTH

Correct answer: 4. ACTH

Explanation: The three pituitary glycoprotein hormones, FSH, LH, and TSH, share a common a subunit that is the product of a single gene and has the same amino acid composition in each hormone, although their carbohydrate residues vary. Also, HCG is a glycoprotein that shares same a subunit. ACTH is a peptide Hormones ending with 'inert' are amides like: Serotonin Dopamine Norepinephrine Epinephrine Thyroxine (T4, T3) Steroids are: Cortisol Aldosterone Testosterone Progesterone Estrogen TRH is a smallest peptide of 3 amino acids.